Largest parasympathetic peripheral ganglion is?
1. Cilliary ganglion
2. Otic ganglion
3. Sphenopalatine ganglion
4. None

Correct answer: 3. Sphenopalatine ganglion

Explanation: Pterygopalatine ganglion or sphenopalatine ganglion is the LARGEST parasympathetic peripheral ganglion. It contains secretomotor fibres to the lacrimal gland and to mucous glands of nose, paranasal sinuses, the palate and the nasopharynx.